Which following are postulated mechanism by which propofol acts as antiemetic:-
1. Antidopaminergic activity
2. Depressant effect on the chemoreceptor trigger zone
3. Decreased release of glutamate and aspect able in the olfactory cortex and decreased serotonin
4. All of the above

Correct answer: 4. All of the above

Explanation: causes of antiemetic effect of propofol Antidopaminergic activity Depressant effect on the chemoreceptor trigger zone Decreased release of glutamate and aspect able in the olfactory cortex and decreased serotonin